For the following medical conditions, select the associated acid base disturbances.Chronic pulmonary disease on steroids.
1. metabolic acidosis and respiratory acidosis
2. metabolic acidosis and respiratory alkalosis
3. metabolic alkalosis and respiratory acidosis
4. metabolic alkalosis and respiratory alkalosis

Correct answer: 3. metabolic alkalosis and respiratory acidosis

Explanation: Chronic pulmonary disease often causes respiratory acidosis, whereas the steroids frequently used in therapy may cause a metabolic alkalosis.